An 8 year old child with history of pain & discharge from right ear presents with fever, neck rigidity & a positive Kerning's sign. Discharge was stained with Gram stain which revealed Gram positive cocci. Which of the following is the most likely organism?
1. H. influenzae
2. Staphylococcus
3. Pneumococcus
4. Pseudomonas

Correct answer: 3. Pneumococcus